Liver biopsy in malaria will have
1. Microabscesses
2. Kupffer cell hyperplasia
3. Piecemeal necrosis
4. Non Caseating granuloma

Correct answer: 2. Kupffer cell hyperplasia

Explanation: Ans. b. Kupffer cell hyperplasiaCLASSIFICATION OF PARASITIC DISEASE OF THE LIVER AND BILIARY TRACT BY PATHOLOGIC PROCESSPathologic processDiseasesLiver disease Granulomatous hepatitisCapillariasisFascioliasisSchistosomiasisStrongyloidiasisToxocariasisPortal fibrosisSchistosomiasisHepatic abscess or necrosisAmebiasisToxoplasmosisCystic liver diseaseEchinococcosisPeliosis hepatisBacillary angiomatosisReticuloendothelial diseaseKupffer cell infection or hyperplasiaBabesiosisMalariaToxoplasmosisVisceral leishmaniasisBiliary tract diseaseCholangitisClonorchiasis/opisthorchiasisFascioliasisBiliary hyperplasisAscariasisClonorchiasisCryptosporidiosisFascioliasisCholangiocarcinomaClonorchiasis/opisthorchiasis